Interleukin I primarily acts on -
1. T-lymphocytes
2. B-lymphocytes
3. Neutrophils
4. Macrophages

Correct answer: 1. T-lymphocytes

Explanation: The immunological effect of IL1 include stimulation of T cells for the production of IL2 and other lymphokines REF:Ananthanarayan & Panikers textbook of Microbiology 9th Edition pg:154